Which of the following condition is associated with the development of posterior staphyloma?
1. Pathological myopia
2. Retinoblastoma
3. Acid injury
4. Sympathetic ophthalmia

Correct answer: 1. Pathological myopia

Explanation: Staphyloma: This is the term used for ectatic sclera which has become attached to the underlying uvea. Staphylomas may occur following severe scleritis or uveitis. It may occur as anterior, equatorial or posterior. Anterior staphylomas, located anterior to the equator, are termed calary when they are over the ciliary body and intercalary when they are between the ciliary body and the limbus. They most probably result from a combination of inflammation and high intraocular pressure. They can also develop following surgery, such as trabeculectomy. Posterior staphyloma develop as a result of pathological myopia, but they can also result from congenital, infective, and inflammatory disorders. Ref: Cunningham, Jr. E.T., Augsburger J.J., Correa Z.M., Pavesio C. (2011). Chapter 7. Uveal Tract & Sclera. In P. Riordan-Eva, E.T. Cunningham, Jr. (Eds), Vaughan & Asbury's General Ophthalmology, 18e.